A patient on lithium therapy was found to be hypertensive also. Which of the following antihypertensive drugs is contraindicated in a patient on lithium therapy in order to prevent toxicity ?
1. Clonidine
2. Beta blockers
3. Calcium channel blockers
4. Diuretics

Correct answer: 4. Diuretics